Mirena (LNG IUCD) has to be replaced after :
1. 1 year
2. 5 years
3. 3 years
4. 6 months

Correct answer: 2. 5 years

Explanation: Mirena (LNG IUD) contains a total of 52 mg levonorgestrel (LNG) LNG is released into the uterine cavity at a rate of approximately 20 microgram/day. Act mainly by local progestogenic effects Effective for up to 5 years.